A patient of depression is stabilized on selective serotonin reuptake inhibitor (SSRI). This group of drugs produced withdrawal symptoms when stoppe(d) which of the following drugs has minimum risk of causing drug discontinuation symptoms?
1. paroxetine
2. Fluoxetine
3. Sertraline
4. Fluvoxamine

Correct answer: 2. Fluoxetine

Explanation: *All antidepressants including SSRIs and SNRIs can result in discontinuation syndrome. The symptoms of withdrawal include dizziness, headache, nervousness, nausea and insomnia. *This withdrawal is more intense with paroxetine and venlafaxine because these are relatively short acting. *This is unlikely with fluoxetine as it produces a very long acting metabolite. REF: GOODMAN AND GILLMAN 13TH ED.